True about Hodgkin's lymphoma are all except?
1. Often localized to single axial group of lymph nodes
2. Hepatomegaly is always present
3. Contiguous spread of lymph nodes
4. Can be cured by Chemotherapy and Radiotherapy

Correct answer: 2. Hepatomegaly is always present

Explanation: HODGKIN'S LYMPHOMA : - HL arises in lymphoid tissue & spreads to adjacent lymph node areas in a relatively orderly fashion. -Patients commonly present with painless, non-tender, firm, rubbery, cervical or supraclavicular lymphadenopathy and usually some degree of mediastinal involvement. HEPATOSPLENOMEGALY IS A FEATURE BUT NOT ALWAYS PRESENT - Chemotherapy & radiation therapy are both effective in treatment of HL. TREATMENT- A- Adriamycin (Doxorubicin) B - Bleomycin V - Vinblastine D - Dacarbazine